Triad of Meniere's disease is
1. Fluctuating hearing loss, vertigo, tinnitus
2. Conductive deafness, vertigo tinnitus
3. Vertigo, tinnitus, sense of fullness
4. Vertigo, tinnitus, cataract

Correct answer: 1. Fluctuating hearing loss, vertigo, tinnitus

Explanation: A. i.e. (Fluctuating hearing loss, vertgo, tinnitus) (100 Dhingra 4th) (107-8 - Maqbool 11th)Cardinal symptoms of Meniere's disease1. Episodic vertigo2. Fluctuating hearing loss (Sensory neural)3. Tinnitus4. Sense of fullness or pressure in the involved ear** Recruitment phenomenon is seen in - Meniere's diseaseTREATMENTSMedical Surgical1. Reassurance, vitamins (Nicotinic acid and A and D)2. Bed rest. Diuretic (acetazolamide)3. Vestibular sedative (Dimanhydrinate, promethazine theoclate prochlorperazine, Diazepam)4. Vasodilators** (Betahistadine hydrochloride)(i) Inhalation of carbogen (5% CO2 with 95% O2)(ii) Histamine drip5. Intratympanic gentamicin therapy1. Labyrinthectomy2. Intermittent low pressure pulse therapy(Meniett device therapy)* LERMOYEZ'S SYNDROME - is a variant of Meniere syndrome in which hearing loss and tinnitus occurs first, followed by vertigo that appears suddenly and with it hearing and tinnitus improve